All pass through jugular foramen except
1. Emissary vein
2. Vagus nerve
3. Mandibular nerve
4. Internal jugular vein

Correct answer: 3. Mandibular nerve

Explanation: 9th, 10th,11th cranial nerves, inferior petrosal and sigmoid sinuses; meningeal branches of ascending pharyngeal and occipital arteries Notes; mandibular nerve passes foramen ovale Ref,BDC volume 3,sixth edition,pg no 57